Which of the following is a cause of intravascular hemolysis
1. Cold agglutinin disease
2. Warm type autoimmune hemolytic anaemia
3. PNH
4. Both bc

Correct answer: 3. PNH

Explanation: PNH * Paroxysmal nocturnal hemoglobinura (PNH ) is an acquired intrinsic defect in RBC membrane * Its due to mutation in PIGA gene (phosphatidyl inositol glycan complementation group A) PNH red cell are deficient in :- * CD55 or decay accelerating factor * CD 59 or membrane inhibitor of reactive lysis * C8 binding protein * Characterised by pancytopenia, hemolysis and thrombosis * Diagnosed by FLOWCYTOMETRIC ANALYSIS * Thrombosis is the leading cause of disease related death Ref:- Robbins Basic Pathology 10th Edition; Pg num:- 642,643